Which of the following papillae is numerous and cover the presulcal area of the dorsum of tongue:
1. Filiform.
2. Fungiform.
3. Folliate.
4. Vallate.

Correct answer: 1. Filiform.